In Indoor air pollution, carbon monoxide is produced by
1. Combustion equipment
2. Stove
3. Gas heaters
4. All of the above

Correct answer: 4. All of the above

Explanation: (All of the above) (593 - Park 19th) (642-Park 20th)Sources of Indoor air pollutantsPollutantSources* Respirable particle* Carbon monoxide* Nitrogen - dioxide* Sulphur dioxide* Formaldehyde* Ozone* Radon and daughters* Asbestos* Mineral fibresTobacco smoke, stove, Aerosol spraysCombustion equipment, stove, Gas heatersGas cookers, cigarettesCoal combustionParticle board, carpet adhesives insulationElectric arcing, UV light sourcesBuilding materialInsulation, fire proofingAppliances